Smokeless gun powder is composed of:
1. KMnO4
2. HCN
3. Nitrocellulose
4. Sulphur

Correct answer: 3. Nitrocellulose

Explanation: C i.e. Nitro cellulose